During foetal lite maximum growth is caused by :
1. Growth harmone
2. Insulin
3. Cortisol
4. Thyroxin

Correct answer: 2. Insulin

Explanation: Insulin